LCAT activates
1. Apo A1
2. Apo B100
3. Apo C-2
4. Apo C-3

Correct answer: 1. Apo A1

Explanation: Lipoproteins classes as per apoprotein contents Families: LP A Apolipoproteins: A-I and A-II Density class: HDL Mol. wt. range: 17000 to 28000 Function: LCAT activator, 'Scavenger'Ref: Textbook of Medical Biochemistry, Eighth Edition, Dr (Brig) MN Chatterjea, page no:445, Table 25.11